Microvesicular steatohepatosis seen in
1. Diabetes mellitus
2. Reye syndrome
3. LIpodystrophy
4. Phosphorces intoxication

Correct answer: 2. Reye syndrome

Explanation: Option a, c, d have macrovesicular steatosis.